Treatment of choice of perimenopausal adenomyosis is :
1. OCP
2. LNG IUCD
3. GnRH agonists
4. Hysterectomy

Correct answer: 4. Hysterectomy

Explanation: A diagnostic hysteroscopy combined with a curettage is the initial step in the management of adenomyosis because of menorrhagia. Since most women are elderly and past the age of childbearing, total hysterectomy is the treatment. Reference: Shaw's Textbook of Gynaecology 16th edition page no 421